Treatment for mild ptosis is-
1. Fasanella servat operation
2. Levator resection
3. Frontalis sling operation
4. Everbusch's Operation

Correct answer: 1. Fasanella servat operation

Explanation: *Fasanella-Servat operation. It is performed in cases having mild ptosis (1.5-2mm) and good levator function. In it, upper lid is everted and the upper tarsal border along with its attached Muller's muscle and conjunctiva are resected. Ref: Khurana 7th/e p.395